Enterohemorrhagic, enterotoxigenic and enteroin- vasive are types of:
1. E. coli
2. Klebsiella
3. Shigella
4. Streptococcus pneumoniae

Correct answer: 1. E. coli

Explanation: Ans. a. E. coli (Ref: Ananthanarayan 8/e p276)Enterohemorrhagic, enterotoxigenic and enteroinvasive are types of E. coli.Types of Diarrhoegenic E. ColiEntero Pathogenic (EPEC)Entero Invasive (EIEC)Entero Toxigenic (ETEC)Entero Hemorrhagic (EHEC)Entero Aggregative (EAEC)* Epidemic diarrhea (infants and childrenQ)* Sorbitol non- fermentorQ* Localized adherence on Hep-2 assay* Disruption of brush border-attachment and effacementQ.* Shigellosis like illnessQ* Has plasmid coding for virulence marker Antigen* Sereny testQ (Rabbit eye) and HeLa penetrationQ* Endemic and traveller's diarrheaQ* Produce LT and ST (Toxins) and CFAs (Fimbrial protein)* Verotoxin production- caused HUSQ.* Growth on SMAC (Sorbitol Macconkey)/ Rainbow agarQ* MUG test since no beta-glucuronidase productionQ* Persistent diarrheaQ* Stacked brick formation of Hep-2 cellsQ* Produce EAST (stable toxin)Diffusely Adherent E. coli (DAEC)The sixth typeDiffuse adherence on Hep-2 adhesion assay